Sensory fibres from the taste buds in the bard and soft palate travel along:
1. Trigeminal nerve
2. Facial nerve
3. Glossopharynegeal nerve
4. Vagus nerve

Correct answer: 2. Facial nerve

Explanation: B i.e. Facial nerve